Half life of Technetium 99 is:
1. 2 hours
2. 6 hours
3. 12 hours
4. 24 hours

Correct answer: 2. 6 hours

Explanation: Ans. 6 hours